Which is called nerve of Wrisberg
1. Motor root of facial nerve
2. Tympanic branch of glossopharyngeal nerve
3. Sensory root of facial nerve
4. Greater auricular nerve

Correct answer: 3. Sensory root of facial nerve

Explanation: Facial nerve runs from pons to parotid. It is a mixed nerve having motor and a sensory root. The latter is also called the nerve of Wrisberg and carries secretomotor fibres to lacrimal gland and salivary glands, and brings fibres of taste and general sensation. Nerve of Wrisberg (Nervus intermedius receives fibres from Nucleus tractussolitarious and Nucleus salivatorius superioris Motor fibres take origin from the nucleus of VIIth nerve, hook round the nucleus of VIth nerve and are joined by the sensory root (nerve of Wrisberg).